In dermatomyositis which is not seen-
1. Salmon patch
2. Gottron's papules
3. Peringual telangiectasia
4. Mechanic finger

Correct answer: 1. Salmon patch